Which is must for prothrombin time?
1. Thromboplastin
2. Prothrombin
3. Fibrinogen
4. Fibrin

Correct answer: 1. Thromboplastin

Explanation: Prothrombin time test - Time needed for plasma to clot after addition of tissue thromboplastin and Ca2+ ions.